HMB45 is an marker for:
1. Melanoma
2. Synovial sarcoma
3. Rhabdomyosarcoma
4. Neurofibroma

Correct answer: 1. Melanoma

Explanation: Melanoma stains positive with HMB 45, S-100 Melanoma is the most lethal of all skin cancers and is strongly linked to acquired mutations caused by exposure to UV radiation. The most frequent "driver" mutations in melanoma affect cell cycle control, pro-growth pathways, and telomerase. NOTE-Some of the more common mutations are as follows: Mutations that disrupt cell cycle control genes. The CDKN2A Mutations that activate pro-growth signaling pathways. The Pi3K/AKT pathway -Synovial sarcoma stains positive with- EMA, BCL2, CD-99 -Rhabdomyosarcoma stains - desmin, MyoD1, myogenin -Neurofibroma -S-100, CD-34, SOX10